The site of reactions for the synthesis of creatinine follows the sequence:
1. Liver, Kidney, Muscle
2. Kidney, Liver, Muscle
3. Muscle, Kidney, Liver
4. Muscle, Liver, Kidney

Correct answer: 2. Kidney, Liver, Muscle

Explanation: Synthesis of creatinine involve reactions : Formation of Guanidino Acetic acid from Arginine and Glycine by enzyme Arginine Glycine Transaminase take place in kidney Formation of Creatine from Guanidino Acetic acidby enzyme Methyl Transferase take place in liver Creatine is transported blood to muscle where it is converted to Creatine Phosphate by Creatine Kinase.